Tomcat urine odor is seen in:
1. Multiple carboxylase deficiency
2. Phenylketonuria
3. Hawkinuria
4. Maple syrup disease

Correct answer: 1. Multiple carboxylase deficiency

Explanation: MULTIPLE CARBOXLASE DEFICIENCY - BIOTIN is coenzyme in carboxylase reaction. Defects in the ability to add or remove biotin from carboxylases result in multiple carboxylase deficiency. It is autosomal recessive Developmental delay Treatment is biotin supplement Tomcat Urine odour